Tyramine acts by
1. Inhibit acetylcholinesterase
2. Stimulate co receptor
3. Release norepinephrine
4. Stimulate 13 receptor

Correct answer: 3. Release norepinephrine

Explanation: C i.e. Release norepinephrine Tyramine, ephedrine & amphetamine (TEA) augment autonomic activity by releasing norepinephrineQ from endings of post-ganglionic neurons. Stnne drugs and toxins affecting Autonomic activity /IP Site of Action Compounds That Augment Autonomic Activity Compounds That Depress Autonomic Activity Sympathetic and parasympathetic ganglia * Stimulate postganglionic neurons - Nicotine - Low concentrations of acetylcholine * Inhibit acetylcholinesterase - DFP (diisopropyl fluorophosphate) - Physostigmine (Eserine) - Neostigmine (Prostigmin) - Parathion * Block conduction - Hexamethonium (C-6) - Mecamylamine (inversine) - Pentolinium - Trimethaphan (Arfonad) - High concentration of acetylcholine Endings of postganglionic noradrenergic neurons * Release norepinephrine - Tyramine - Ephedrine - Amphetamine * Block norepinephrine synthesis - Metyrosine (Demser) * Interfere with norepinephrine storage - Reserpine - Guanethidine (Ismelin) * Prevent norepinephrine release - Bretylim (Bretylol) - Guanethidine (Ismelin) * Form false transmitters - Methyldopa (Aldomet) Muscarinic receptors Atropine, scopolamine a adrenergic receptors * Stimulate alreceptors - Methoxamine (Vasoxyl) - Phenylephrine (Neo-Synephrine) * Block a receptors - Phenoxybenzamine (Dibenzyline) - Phentolamine (Regitine) - Prazosin (Minipress) (block al) - Yohimbine (blocks a2) b adrenergic receptors * Stimulate 13 receptors - Isoproterenol (Isuprel) * Block $ receptors - Propranolol (Inderal) and others (blocks 01 - Atenolol (Tnormin) and others (blocks 01) Butoxamine (blocks 02) C i.e. Release norepinephrine